Which of the following is a maker of Paget's disease of the mammary gland?
1. CEA
2. S- 100
3. HMB 45
4. Neuron specific enolase

Correct answer: 1. CEA

Explanation: Neoplastic cells in Paget's disease of mammary glands express markers CEA, CK 7 and GCDFP 15. The neoplastic cells also express androgen receptors and HER2/neu. Paget's disease of the nipple is a superficial manifestation of an underlying breast carcinoma. In most cases tumor cells have spread to the skin of the nipple and areola from underlying invasive ductal carcinoma or ductal carcinoma in situ. Ref: Harrison's Principles Of Internal Medicine, 16th Edition, Page 439, 563; Skin Cancer - A World-Wide Perspective By Reinhard Dummer, page 129; Bailey and Love's Short practice of surgery 24th edition , page 837.